Autonomous zone of sensory supply by radial nerve is
1. P dorsal web space
2. Tip of index finger
3. Tip of thumb
4. Tip of little finger

Correct answer: 1. P dorsal web space

Explanation: Answer- A. P dorsal web spaceAutonomous Zone of peripheral nerves:Radial nerve:lst dorsal web space of hand (Anatomical snuff box)Median nerve:Distal phalanx (tip) of index finger (2nd finger)Unar nerve: Distal phalanx (tip) of little finger (5th finger).